All are causes which predisposes to S.aureus infection, EXCEPT:
1. Eczema
2. Insect bite
3. Lichen planus
4. Injections especially insulin

Correct answer: 3. Lichen planus

Explanation: S. aureus Skin infections: Factors predisposing to S. aureus cutaneous infection include chronic skin conditions Eczema Skin damage e.g., insect bites, minor trauma Injections (e.g., in diabetes, injection drug use) Poor personal hygiene. MUST KNOW: Folliculitis is a superficial infection involving the hair follicle, with a central area of purulence surrounded by induration and erythema. Furuncles are extensive, painful lesions that tend to occur in hairy, moist regions of the body to become a true abscess with an area of central purulence. Carbuncles are often located in the lower neck and are more severe and painful, resulting from the coalescence of other lesions that extend to a deeper layer of the subcutaneous tissue. Mastitis develops in 1-3% of nursing mothers. It generally presents within 2-3 weeks after delivery, It range from cellulitis to abscess formation. ALSO KNOW: Other cutaneous S. aureus infections are impetigo, cellulitis, and hidradenitis suppurativa . Ref: Harrison, Edition-18, Page-1163.